Primary level of prevention means:
1. Efforts are directed towards discouraging children from adopting harmful lifestyles
2. Action taken prior to the onset of disease, which removes the possibility that a disease will ever occur
3. Action which halts the progress of a disease at its incipient stage and prevents complications
4. All measures available to reduce or limit impairments and disabilities, minimize suffering caused by existing departures from good health

Correct answer: 2. Action taken prior to the onset of disease, which removes the possibility that a disease will ever occur

Explanation: Ans. B i.e. Action taken prior to the onset of disease, which removes the possibility that a disease will ever occur